Antigen idiotype is related to -
1. Fc fragment
2. Hinge region
3. C-terminal
4. N-terminal

Correct answer: 4. N-terminal

Explanation: The antigen combining site of the immunoglobulin molecule is at its amino terminus. - it is composed of both L and H chains. - the first 110 amino acid from the N terminal is quite variable in amino acid sequence and this region is called the variable region. - the amino-terminal variable region of light and heavy chain participates in the antigen recognition. Reference : Anathanarayan & paniker's 9th edition, pg no: 94, 95